Most common cause of Per Rectal Bleeding in Infant ?
1. Anal fissure
2. Rectal polyp
3. Intussusception
4. Hypertension

Correct answer: 1. Anal fissure

Explanation: Anal fissures: These small tears are the most common cause of rectal bleeding in children. They can hapen when passing a large or hard stool, which stretches the lining of the anus until it tears, or when frequent diarrhea irritates the lining . Reference : page 126 Ghai Essential Pediatrics 8th edition